Short stature is seen in –a) Maternal deprivation syndromeb) Hypothyroidismc) Bulimiad) Paternal smokinge) IUGR
1. abc
2. bcd
3. cde
4. abe

Correct answer: 4. abe

Explanation: If the height of the child is below the 3rd percentile or less than 2 S.D. from the mean, he or she is considered to be short stature.
Causes of short stature

A) Proportionate short stature
Normal variant      - 1) Familial
                                2) Constitutional delay in growth 
Prenatal causes   -  1) Intrauterine growth retardation (IUGR)
                                2) Intrauterine infections
Posnatal causes  -  1) Nutritional dwarfism (due to malnutrition)
                                2) Chronic visceral disease
                                3) Endocrine disorders (hypopituitrism, Juvenile DM)
                                4) Psychosocial (emotional deprivation, maternal deprivation)
B) Disproportionate short stature

With short limbs - Achondroplasia, hypochondroplasia, chondroectodermal dysplasia, deformities due to rickets and osteogenesis imperfecta, hypothyroidism.
With short trunk: Spondylo-epiphyseal dysplasia, mucopolysaccharidosis, mucolipidosis, caries spine, hemivertebrae.